The most important target of action of chlorambucil is -
1. Myeloid tissue
2. Lymphoid tissue
3. Neural tissue
4. Skin

Correct answer: 2. Lymphoid tissue

Explanation: Ans. is 'b' i.e., Lymphoid tissue o Chlorambucil is a very slow acting alkylating agent especially active on lymphoid tissue; myeloid tissue is largely spared.